Which of the following is responsible for localization of sound ?
1. Cochlear nerve
2. Cochlea
3. Superior olivary nucleus
4. Cochlear nuclei

Correct answer: 3. Superior olivary nucleus

Explanation: Ans. is 'c' i.e., Superior olivary nucleus Localization of sound in space A human can distinguish sounds originating from sources separated by as little as 1 degree. Binaural receptive fields (which is a feature of most auditory neurons above the level of cochlear nuclei) contribute to sound localization. In other words, relay nuclei in the brain stem (especially the superior olivary nuclei complex) mediate localization of sound. The auditory system uses following clues to judge the origin of sound :? Time lag between the entry of sound in two ears :- For example, if the sound originates from the right side of a person, it reaches the right ear earlier than the left ear. This time lag is more important for relatively low -frequency sounds (below 3000 Hz). Difference in intensities between the sound in the two ears :- It is important for sounds of higher frequencies (>3000 Hz). Sounds coming from directly in front of the individual and the back of the individual cannot be differentiated by the above two mechanisms. Here shape of pinna plays a role, it changes the quality of the sound depending on the direction from which sound comes.